Which of the following is a histological feature of Whipple's disease?
1. Infiltration of histiocytes in the lamina propria
2. Granuloma in the lamina
3. Macrophages with PAS (+) material inside the lamina propria
4. Eosinophils in the lamina propria

Correct answer: 3. Macrophages with PAS (+) material inside the lamina propria

Explanation: Whipple's disease Hallmark - Presence of PAS +ve, diastase resistant granules inside foamy macrophages containing rod shaped bacilli. The presence of T. Whipplei outside macrophages is more important indicator of active disease than their presence inside the macrophages. Multisystem involvement: Joints (Early involvement) Intestine - Impaired lymphatic drainage resulting in malabsorption & diarrhea Lymph nodes CNS (Late involvement) Rx - Antibiotics